In secondary syphilis all are seen except -
1. Condyloma lata
2. Interstitial keratitis
3. Arthritis
4. Proteinuria

Correct answer: 2. Interstitial keratitis

Explanation: In secondary syphilis cutaneous lesion are symmetrical and numerous initially. Rash may be of any morphology but never vesicular or Bullous. Condylomata lata is another cutaneous manifestation. Mucosal lesions are mucosal patches and snail track ulcers. Generalized lymphedenopathy. Periosteitis, arthritis, iridocyclitis, uveitis, choroidoretinitis. Nephrotic syndrome due to immune complex glomerulonephritis. From illustrated synopsis of dermatology and sexually transmitted diseases neena khanna 5th edition page no 323